Most common presentation in twin gestation is -
1. Both vertex
2. First vertex, second breech
3. First breech, second vertex
4. Both breech

Correct answer: 1. Both vertex

Explanation: Ans. is 'a' i.e., Both vertex Lie and Presentation in Twin Gestationo The commonest lie of the fetuses is longitudinal (90%) but malpresentations are quite commono The combination of presentation of the fetuses are - (in order of occurrence)i) Both vertex - most commonii) First vertex and second breechiii) First breech and second vertexiv) Both breechv) First vertex and second transversevi) Both transverse, when the possibility of conjoined twins should be ruled out.